Cervical incompetence is characterised by :
1. Cerclage operation done
2. 2nd trimgster abortion
3. Premature rupture of mombrane
4. All

Correct answer: 4. All

Explanation: Ans. is a, b and c i.e. 2nd trimester abortion; Premature rupture of membrane; and Cerclage operation done